Imipenem is combined with cilastatin to:
1. Cilastatin prevents degradation of imipenem in kidney
2. Cilastatin inreases intestinal absorption of imipenem
3. Cilastatin inhibits beta lactamase activity
4. Both have synergistic activity against Pseudomonas

Correct answer: 1. Cilastatin prevents degradation of imipenem in kidney

Explanation: Ans. (A) Cilastatin prevents degradation of imipenem in kidney(Ref: Goodman and Gilman 13th/e p1035)Imipenem is rapidly inactivated by renal dehydropeptidase I, so it is combined with cilastatin, an inhibitor of this enzyme.Cilastatin increases the half life of imipenem and also inhibits the formation of nephrotoxic metabolite.Meropenem, doripenem and ertapenem are not metabolized by renal dehydropeptidase